Transport of molecules in simple diffusion is not determined by:
1. ATP usage
2. Size of molecule
3. Lipid solubility
4. Number of channels

Correct answer: 1. ATP usage

Explanation: Ref: Pal GK. Transport across Cel! membrane. In: Textbook of medical physiology. 2""' ed. Abuja publishing house. 2011: 4: 32,33.Explanation:Permeability of substances across the membrane is decided by1. Lipid - solubility2. Molecular size3. Charge of the molecule4. Temperature5. Distribution of channels in the membrane6. Pressure gradientSimple and passive diffusion are passive transport and energy is not do not require utilization of metabolic energy (ATP)